A 35-year old lady G4 P3 presents to the emergency dept. with amenorrhea of 12 weeks with excessive vomiting and bleeding per vaginum. On examination her pulse is 90/min., BP is 150/110 mm Hg, on PA examination uterus is of 20 wks size. Your most possible diagnosis is:-
1. Gestational hypertension
2. Molar pregnancy
3. Poly-Hydramnios
4. Antepartum hemorrhage

Correct answer: 2. Molar pregnancy

Explanation: The above given history is suggestive of molar pregnancy as: women have uterine growth that is more rapid than expected.(uterine size>POG) excessive nausea and vomiting are significant. on USG, snowstorm /honeycomb appearance is seen in molar pregnancy Gestational hypertension is characterized by hypertension after 20 weeks of pregnancy. Poly Hydramnios does not present at 12 weeks APH is Bleeding in the genital tract after 28 weeks